Which of the following is the chief mediator associated with resetting the hypothalamic temperature set point at a higher level, resulting in fever?
1. PGF2 alpha
2. PGE1
3. PGE2
4. PGI2

Correct answer: 3. PGE2

Explanation: Ans. (c) PGE2(Ref: Robbins 9th/pg 99)The increase in body temperature is caused by prostaglandins that are produced in the vascular and perivascular cells of the hypothalamus.In the hypothalamus, the prostaglandins, especially PGE2, stimulate the production of neurotransmitters that reset the temperature set point at a higher level.